With regard to hepatic anatomy, the falciform ligament divides the___from the ___.
1. Right unit, left unit
2. Left medial section, left lateral section
3. Caudate lobe, quadrate lobe
4. Left medial section, right lobe

Correct answer: 2. Left medial section, left lateral section

Explanation: The overall anatomy of the liver is divided into a functional right and left 'unit' along the line between the gallbladder fossa and the middle hepatic vein ( Cantlie's line ). The falciform ligament divides the left lateral section from the left medial section. Clinical significance : The falciform ligament, along with the round, triangular, and coronary ligaments may be divided in a bloodless plane during liver resection. Couinaud liver segments RESECTIONS can be performed of individual segments or of the whole of the left or right hemiliver.